Nonimmume hydrops foetalis is seen in all of the following conditions except :
1. a- Thalassemia
2. Parvovirus-19R
3. Rh-incompatibility
4. All

Correct answer: 3. Rh-incompatibility

Explanation: Ans. is c i.e. Rh incompatibility